HRT therapy can increase the risk of -
1. Osteoporosis
2. Breast carcinoma
3. Alzeihmer's disease
4. Colorectal cancer

Correct answer: 2. Breast carcinoma

Explanation: Ans. is 'b' i.e., Breast carcinoma o HRT increases the risk of the following:# Endometrial cancer# Breast carcinomao Reduced risk of the following with HRT:# Alzeihmer's disease# Colorectal cancer# Osteoporosis# Age related hearing loss# HRT prevents lens opacities